Most common primary malignant tumor of long bones is:
1. Osteosarcoma
2. Multiple Myeloma
3. Ewing's sarcoma
4. Metastatic carcinoma

Correct answer: 1. Osteosarcoma

Explanation: Excluding multiple myeloma and lymphoma, osteosarcoma is the most common primary tumor of bone and accounts for 20-36% of primary bone malignancies.